Dysfunctional uterine bleeding is defined as abnormal bleeding due to :
1. Thyroid dysfunction
2. Functioning ovarian tumour
3. Anovulatory cycle
4. Blood dyscrasias

Correct answer: 3. Anovulatory cycle

Explanation: Anovulatory cycle